Maximum visual acuity in retina is present on
1. Optic disc
2. Fovea centralis
3. Macula lutea
4. Peripheral part

Correct answer: 2. Fovea centralis

Explanation: (B) Fovea centralis > Visual acuity, or resolving power, is the property of cones. To resolve detail, the eye's optical system has to project a focused image on the fovea, a region inside the macula having the highest density of cone photoreceptor cells (the only kind of photoreceptors existing on the fovea), thus having the highest resolution and best color vision.